The most common cause of sporadic viral encephalitis is -
1. Japanese B encephalitis
2. Herpes simplex encephalitis
3. Human immunodeficiency virus encephalitis
4. Rubeola encephalitis

Correct answer: 2. Herpes simplex encephalitis